Which of the following inhalational anaesthetic agent can cause hepatitis on repeated use?
1. Halothane
2. Isoflurane
3. Sevoflurane
4. Ether

Correct answer: 1. Halothane

Explanation: Halothane causes hepatitis .It can also cause arrhythmia by making adrenaline more adrenogenic, i.e , Adrenaline Shows more adrenogenic action when halothane is used. Hence it should not be used in conditions where adrenaline is high ,i.e, pheochromocytoma